Which of the following is the treatment of choice for the fracture of radius and ulna in an adult?
1. Plaster for 4 week
2. Closed reduction and calipers
3. Only plates
4. Kuntscher nails

Correct answer: 3. Only plates

Explanation: Fracture both bones of forearm may result in severe loss of function unless adequately treated by restoring normal relationship of radius and ulna. The relationship of radio humeral, ulno humeral, proximal radioulnar, radio carpal and distal radioulnar joints and the interosseous space must be anatomical or some functional impairment will occur. In addition to regaining length, and axial alignment (by reducing angulation), achieving normal rotational alignment is necessary if a good, range of pronation and supination is to be restored. Forearm rotation is vulnerable to any malalignment of radius and accurate rotational as well as axial reduction is necessary. Malunion and nonunion occur more frequently because of the difficulty in reducing and maintaining the reduction of two parallel bones in the presence of pronating and supinating muscles that have angulating and rotational influences. Because of these factors open reduction and internal fixation (by plating) of displaced diaphyseal fractures in adult is accepted as best method of treatment. Ref: Maheshwari 3/e, Page 91, Apley's Orthopedics 8/e, Page 611-13, Campbell's Operative orthopedics 10/e, Page 3042-44, Rockwood & Green's Fractures in Adult 6/e, Page 969-730.